Broca's area is located in
1. Inferior frontal lobe
2. Parietal lobe
3. Superior temporal gyrus
4. Angular gyrus

Correct answer: 1. Inferior frontal lobe